Skin snip is used in the diagnosis of -
1. Trichinosis
2. Strongyloidosis
3. Schistosomiasis
4. Onchocersiasis

Correct answer: 4. Onchocersiasis

Explanation: The gold standard test for the diagnosis of onchocerciasis remains the skin snip biopsy(mid day). The biopsy is performed using a sclerocorneal biopsy punch or by elevating a small cone of skin (3 mm in diameter) with a needle and shaving it off with a scalpel. This will result in the removal of around 2 mg of tissue. The tissue is then incubated in normal saline at room temperature for 24 hours to allow the microfilariae (larvae) to emerge. The microfilariae can then be identified microscopically. The sites for the skin snip are usually over the iliac crest, the scapula, and the lower extremities. REF:TEXTBOOK OF MEDICAL PARASITOLOGY;BAVEJA;3RD EDITION;PAGE NO 173